Linear abrasion is the other name for
1. Graze
2. Scratch
3. Pressure abrasion
4. Impact abrasion

Correct answer: 2. Scratch

Explanation: Linear abrasion (scratch abrasion) Linear abrasions are produced by horizontal or tangential movements of the tip of a pointed object like thorn, nail, tip of pointed knife, pin,etc. In this type of abrasion, the width is minimal. There may be heaping of the denuded cuticle at one end and from this, the direction of application of force and the relative position of the victim and assailant can be found out. Ref: FORENSIC MEDICINE AND TOXICOLOGY Dr PC IGNATIUS THIRD EDITION PAGE 112